Spastic paraplegia can be caused by the following except -
1. Motor neuron disease
2. Chronic lead poisoning
3. Vitamin B12deficiency
4. Cervical spondylosis

Correct answer: 2. Chronic lead poisoning